Most susceptible cells to hypoxia -
1. Neuron
2. Myocytes
3. Hepatocvtes
4. Epithelium

Correct answer: 1. Neuron

Explanation: Ans. is 'a' i.e., Neuron Susceptibility of cells to hypoxiaSusceptibilityCellsTime for irreversible damageHigh susceptibilityNeurons3-5 minutesIntermediateMyocardium, hepatocytes, renal epithelial cells20-120 minutesLow susceptibilityFibroblast, epidermis, skeletal musclesMany hours